Which of the following chemical mediators of inflammation is an example of a C-X-C or alpha chemokine -
1. Lipoxin LXA-4
2. Interleukin IL-8
3. Interleukin IL-6
4. Monocyte chemoattractant protein MCP-1

Correct answer: 2. Interleukin IL-8

Explanation: Chemokines

Chemokines are a family of small proteins that act primary as chemoattractants for specific types of leukocytes.


They are classified into four major groups according to the arrangement of the conserved cysteine (C) residues in mature proteins.